Pain and temperature is carried by:
1. Anterior spinothalamic tract
2. Lateral spinothalamic tract
3. Dorsal column pathway
4. Ventral column pathway

Correct answer: 2. Lateral spinothalamic tract

Explanation: Ans. B Lateral spinothalamic tractSOMATOSENSORY PATHWAYS* Dorasal column pathway: This carries pressure, vibration, proprioception, fine touch and two-point discrimination.* Anterior spinothalamic tract: This carries crude touch and pressure (less role).* Lateral spinothalamic tract: This carries pain and temperature.